Which of the following nerve supplies the sensory fibres to submandibular salivary gland ?
1. lingual nerve
2. superior alveolar nerve
3. mylohyoid nerve
4. auriculotemporal nerve

Correct answer: 1. lingual nerve

Explanation: NERVE SUPPLY OF SUBMNDIBULAR SALIVARY GLAND - It is supplied by branches from the submandibular ganglion. These branches convey: (a) Secretomotor fibres; (b) sensory fibres from the lingual nerve, and (c) vasomotor sympathetic fibres from the plexus on the facial artery. B D Chaurasia's Human Anatomy , seventh edition , volume 3 , pg. no., 139.